Superior parathyroid derived from
1. Mesoderm of 3rd pouch
2. Endoderm of 3rd pouch
3. Mesoderm of 4th pouch
4. Endoderm of 4th pouch

Correct answer: 4. Endoderm of 4th pouch